To prevent Yellow Fever Aedes aegypti index should be less than
1. 0.50%
2. 1%
3. 2%
4. 5%

Correct answer: 2. 1%

Explanation: 1%